Alpha antitrypsin deficiency causes:
1. Centrilobular emphysema
2. Pan acinar emphysema
3. Lung cyst
4. Bronchiectasis

Correct answer: 2. Pan acinar emphysema

Explanation: Ans: bRef: Robbins, 3rd ed, p. 718, 719